All are a mechanism of defence except -
1. Repression
2. Transference
3. Projection
4. Anticipation

Correct answer: 2. Transference

Explanation: Defence mechanism 

Narcissistic (Psychotic) :- Denial, disortion, projection.
Immature:- Blocking, introjection, passive-aggressive behavior, acting out, hypochondriasis, regression, schizoid fantasy, somatization.
Neurotic :- Controlling, Displacement, inhibition, externalization, intellectualization, isolation, rationalization, dissociation, reaction formation, repression, sexualization, conversion, undoing, inhibition.
Mature :- Asceticism, suppression, altruism, sublimation, humor, anticipation.